All have beta lactam ring EXCEPT -
1. Penicillin
2. Linezolid
3. Cefotaxime
4. Imipenem

Correct answer: 2. Linezolid

Explanation: Ans. is 'b' i.e., Linezolid beta-lactam antibiotics contain beta-lactam ring. These are penicillins, cephalosporins (e.g. cefotoxime), monobactams (aztreonam) and carbapenems (imipenem, meropenem).